Grayish white membrane in throat may be seen in all of the following infections except:
1. Streptococcal tonsilitis
2. Diphtheria
3. Adenovirus
4. Ludwig's angina

Correct answer: 4. Ludwig's angina

Explanation: Membrane in Throat is Caused by Pyogenic organisms viz. Streptococci, Staphylococci causing membranous tonsillitis Diphtheria Vincent's angina (Caused by fusiform bacilli and spirochetes: Borrelia vincentii) Candidiasis/monoliasis/oral thrush Infectious mononucleosis Agranulocytosis Leukemia Aphthous ulcers Traumatic ulcers